Scarlet fever is caused by
1. Streptococcus agalactie
2. Streptococcus pyogenes
3. Streptococcus pneumoniae
4. Streptococcus equisimilus

Correct answer: 2. Streptococcus pyogenes

Explanation: Ans. is 'b' i.e., Streptococcus pyogenes Infections caused by streptococcus pvogenes Respiratory infections Sore throat is the most common of streptocococcal disease . It may be localised as tonsillitis as in older children and adults or it may involve the pharynx more diffusely (pharyngitis) as in younger children. Otitis media